Primary health care, true are all except
1. Essential health care for all
2. Health services are taken to the doors of people
3. Placing people's health in people's hands
4. Sectors like agriculture, animal husbandry, food, industry & communication are involved.

Correct answer: 2. Health services are taken to the doors of people

Explanation: Ans. is 'b' i.e. Health services are taken to the doors of people "Unlike the previous approaches (e.g. basic health services, integrated health care, vertical health services) which depended upon taking health services to the doors of the people, primary health care approach starts with the people themselves. This approach signifies a new dynamism in health care and has been described as Health by the people, placing people's health in people's hands. The ends of the primary health care approach are the same as those of earlier approaches (i.e. attainment of an acceptable level of health by every individual), but the means adopted are different" - Park Primary health careThis approach to health care came into existence in 1978 in an international conference at Alma-Ata (USSR)The Alma-Ata conference defined primary health care as - "Primary health care is essential health care made universally accessible to individuals and acceptable to them, through their full participation and at a cost the community and country can afford."Principles of primary health careEquitable distributionit means, health services must be shared equally by all people irrespective of their ability to pay and all people (urban or rural, rich or poor) have access to health services.Community participationthe local community is involved in planning and implementation of health services.primary health care is thus described as - Health by the people, placing people's health in people hands.village health guides and trained dais are perfect examples of community participation. They belong to the community they serveIntersectoral coordinationthe primary health care is not provided by health sector alone.it involves all other related sectors of national and community development, in particular agriculture, animal husbandry, food, industry, education, housing, public works, communication and other sectors.Appropriate technologyappropriate technology is defined as 'technology that is scientifically sound, adaptable to local needs, and acceptable to those who apply it and those for whom it is used, and that can be maintained by the people themselves in keeping with the principles of self reliance with the resources the community and country can afford.'